In a given population, prevalence of a disease can be rapidly determined by -
1. Case control study
2. Cross over study
3. Cross sectional study
4. Double blind study

Correct answer: 3. Cross sectional study